Dental caries is associated with
1. Streptococcus agalactiae
2. Streptococcus mutans
3. Streptococcus bovis
4. Streptococcus anginosus

Correct answer: 2. Streptococcus mutans